Cartridges should not be permitted to soak in alcohol because it
1. Destroys vasoconstrictor
2. Is less effective
3. Is warm in sensation
4. Diffuses though rubber cap causing contamination

Correct answer: 4. Diffuses though rubber cap causing contamination